The setting expansion of gypsum products can be reduced by:
1. Increased spatulation
2. Adding potassium sulfate
3. Less water powder ratio
4. Allowing setting under water

Correct answer: 2. Adding potassium sulfate